Refractive condition of the eye at birth is:
1. Hypermetropia of 2 D
2. Myopia of 2 D
3. Hypermetropia of 5 D
4. Myopia of 5 D

Correct answer: 1. Hypermetropia of 2 D

Explanation: A i.e. Hypermetropia of 2 D